Apart from occurring in nucleic acids, pyrimidines are also found in
1. Theophylline
2. Theobromine
3. Flavin mononucleotide
4. Thiamine

Correct answer: 4. Thiamine

Explanation: Thiamin (vitamin B1) consists of two components: the pyrimidine moiety (4-amino-5-hydroxymethyl-2-methylpyridine) and the thiazole moiety (5-(2-hydroxyethyl)-4-methyl thiazole).The thiazole and pyrimidine moieties are biosynthesized separately and then combined to form ThMP by the action of thiamine-phosphate synthase